All the following organisms can cause arthritis except
1. Wuchereria bancrofti
2. Echinococcus granulosus
3. Dracunculus medinensis
4. Trichuris trichiura

Correct answer: 4. Trichuris trichiura

Explanation: Ans. D. Trichuris trichiuraExplanationWuchereria bancrofti causes lymphatic filariasis and occult filariasis.Occult filariasis results due to hypersensitivity reaction to malarial antigen, classical features of lymphatic filariasis are absent.C/F ->> Arthritis, massive eosinophilia, hepatosplenomegaly, cough, dyspnea, glomerulonephritis, thrombophlebitis, tenosynovitis (Panikers Parasitology, p210).Dracunculus medinensis --> It makes a painful papule that enlarges to form blister, local erythema, urticaria, fever, nausea, pruritius.Complications: Sepsis, local abscess, pyogenic arthritis (Mandell's infectious diseases p no. 3589).Case study reveals a case of monoarthritis caused by Echinococcus granulosus